The hygroscopic technique is associated with:
1. Investment
2. Hydrocolloids
3. Amalgam
4. Silicate

Correct answer: 1. Investment